Number of ATP required for synthesis of 1 mole of urea is:
1. 3
2. 4
3. 6
4. 12

Correct answer: 1. 3

Explanation: Synthesis of 1 mol of urea requires 3 mol of ATP plus 1 mol each of ammonium ion and of the a-amino nitrogen of aspartate. Ref: Harper 28th edition, chapter 28.